Which enzyme's activity is increased in low insulin/glucagon level?
1. Hexokinase
2. Glucokinase
3. Glucose-6-phosphatase
4. Pyruvate kinase

Correct answer: 3. Glucose-6-phosphatase

Explanation: Insulin suppresses glucose-6-phosphatase gene.Glucose-6-phosphatase activity is increased in low insulin/glucagon level.Glucocorticoids, glucagon, epinephrine are inducers of glucose-6-phosphatase whereas insulin is repressor.Insulin upregulates the transcription of glucokinase, phosphofructokinase, and pyruvate kinase, while glucagon downregulates their transcription.Glucose-6-phosphatase plays an important role in the regulation of hepatic glucose production, and insulin suppresses glucose-6-phosphatase gene.